A completed denture patient complains that he has pain in his throat during swallowing. This indicates:
1. Over extended PPS
2. Over extended lingual flange
3. Over extended Lingual flange in retromylohyoid region
4. His tonsils are inflammed

Correct answer: 3. Over extended Lingual flange in retromylohyoid region